Which of the following is a monoclonal antibody against PD-L1 ?
1. Golimumab
2. Guselkumab
3. Durvalumab
4. Vedolizumab

Correct answer: 3. Durvalumab

Explanation: Avelumab & Durvalumab  are monoclonal antibody against PD-L1